A hemodynamically stable nulliparous patient with ectopic pregnancy has adnexal mass of 2.5 x 3 cms and Beta HCG titer of 1500 miu/ml. What modality of treatment is suitable for her:
1. Conservative management
2. Medical management
3. Laparoscopic surgery
4. Laparotomy

Correct answer: 2. Medical management

Explanation: Management of Ectopic pregnancy: